On tenth day of a tooth being knocked out, the local clinical finding will be
1. Tooth socket being filled up by tissue
2. Blood clots in the socket
3. Alvoelar process smooth
4. Fluid blood in the socket

Correct answer: 1. Tooth socket being filled up by tissue

Explanation: When a tooth has been knocked out, bleeding from its socket stops in about one to two days and a clot is formed. The clot is obliterated by fibrous tissue in about 14 days. The socket is completely filled with gradual new bone in about a year, as seen on X-RAY examination. Ref : Krishnan vij Textbook of Forensic medicine and Toxicology 5th edtion ; pg no - 289 , medscape.com